Which of the following is/are Pain scale:
1. McGill Pain Questionnaire
2. Visual analogue scale
3. Coloured Analogue Scale
4. All of the above

Correct answer: 4. All of the above

Explanation: Ans. A,McGill Pain Questionnaire B, Visual analogue scale & C, Coloured Analogue ScaleList of Pain Measurement Scales:Wong-Baker FACES Pain Rating ScaleVisual analog scale (VAS)McGill Pain Questionnaire (MPQ)Neck Pain and Disability Scale -NPADLequesne algofunctional index.Behavioral Pain Scale (BPS)Brief Pain Inventory (BPI)Clinical Global Impression (CGI)Critical-Care Pain Observation Tool (CPOT)COMFORT scaleFaces Pain Scale -Revised (FPS-R)